Metacarpophalangeal joints are most commonly affected in:
1. Osteoarthritis
2. Psoriatic arthritis
3. Rheumatoid arthritis
4. Rheumatic fever

Correct answer: 3. Rheumatoid arthritis

Explanation: Ans. C: Rheumatoid Arthritis RA is characterized by diffuse cartilage loss and erosion of bone and cartilage. It starts in the synovial membrane, with the initial processes of edema, neovascularization, and hyperplasia of the synovial lining. Proliferation of synoviocytes and macrophages causes thickening of the synovial lining and, together with lymphocytes, plasma cells, and mast cells, develops into pannus. Pannus is a sheet of invasive cellular tissue that is continuous with the synovial lining. As a result of the higher proportion of synoviocytes and macrophages, pannus causes erosion of bone and cartilage at the margin of joints. In the hands, the metacarpophalangeal (MCP), proximal interphalangeal (PIP), and thumb interphalangeal (IP) joints are most frequently involved. The distal interphalangeal (DIP) joints are involved only in the presence of a coexisting MCP or PIP disease. Tenosynovitis of the flexor tendons causes a reduction in finger flexion and grip strength. Nodular thickening in the tendon sheath may also produce a trigger finger. In osteoarthritis and psoriatic arthritis, DIP is commonly involved.